Anti LKM-2 autoantibody is seen in drug induced liver injury. It is directed against:
1. Cytochrome P 450
2. Cytoplasm
3. BIliary tract
4. Portal tract

Correct answer: 1. Cytochrome P 450

Explanation: Autoantibody seen in drug induced liver inuury is Anti LKM2 antibody. It is directed against cytochrome P 450. Ref: Harrison, Edition-18, Page-2560